Prothrombin Time (PT) detects deficiency of all the following clotting factors EXCEPT
1. II
2. V
3. VII
4. VIII

Correct answer: 4. VIII

Explanation: The time required for clotting to occur is called the prothrombin time (PT). Normal PT = 15-20 seconds. Prolonged PT suggests the possibility of deficiency of factors II (prothrombin), V, VII and X. Prothrombin level is low in vitamin K deficiency and various liver and biliary diseases.